Most common complication of measles in children
1. SSPE
2. Pulmonary Hypertension
3. Otitis media
4. Oophoritis

Correct answer: 3. Otitis media